Which of the following is a germ cell tumor?
1. Brenner tumor
2. Granulosa cell tumor
3. Leydig cell tumors
4. Yolk sac tumor

Correct answer: 4. Yolk sac tumor

Explanation: Germ cell tumorsDysgerminomaEndodermal sinus tumor Embryonal carcinomaPolyembryomaChoriocarcinoma Immature teratoma Mature dermoid cyst with malignant transformationMonodermal and highly specializedStruma ovariiCarcinoidOthersReference: Novak's gynecology; 14th edition; Chapter 35; Uterine cancer